Hemophilic A have following diagnostic features except-
1. | VIII factor
2. | PTT
3. | PT
4. Normal BT

Correct answer: 3. | PT

Explanation: Ans. is 'c' i.e., | PT